Radiation exposure is the least in the following procedure –
1. Micturating cystourethrogram
2. IVP
3. Bilateral nephrostomogram
4. Spiral CT for stones

Correct answer: 1. Micturating cystourethrogram

Explanation: Amongst the given options micturating cystourethrogram has least radiation exposure with number of chest x-ray equivalent of 60.
IVP has chest x-ray equivalent 120, nephrostomogram has x-ray eqiuvalent 170, and CT Plevis has x-ray equivalent 500.